Neoadjuvant chemotherapy is used in all except :
1. Esophageal carcinoma
2. Breast carcinoma
3. Thyroid carcinoma
4. Non–small cell carcinoma of lung

Correct answer: 3. Thyroid carcinoma